A thin radio-opaque line running around the curvature of root in IOPA is
1. Lamina dura
2. Lamina Propria
3. Lamina Limitans
4. Lamina densa

Correct answer: 1. Lamina dura